USG is done to visualize all except -
1. Fluid
2. Bile
3. Blood flow
4. Bone

Correct answer: 4. Bone

Explanation: Bone has high acoustic impendence , hence USG is not used for bone pathologies